Hydrocution is:
1. Wet drowning
2. Immersion syndrome
3. Near drowning
4. Dry drowning

Correct answer: 2. Immersion syndrome

Explanation: Ans. Immersion syndrome